The triangle of koch is bound by all of the following except
1. Tendon of Torado
2. Septal leaflet of tricuspid valve
3. AV node
4. Coronary sinus

Correct answer: 3. AV node

Explanation: The AV node doesnot form a boundary of triangle of koch. The triangle of koch is found on the smooth poosterior wall of right atrium. It contains the atrioventricular node. It is bound by The coronary sinus Tendon of Torado The septal cusp of the tricuspid valve Ref: Gray's Anatomy 41st edition Pgno: 1000